Fracture of the Anterolateral lower end tibia -
1. Tillaux fracture
2. Boswoh fracture
3. Gosselin fracture
4. Segond fracture

Correct answer: 1. Tillaux fracture

Explanation: Answer- A. Tillaux fracture